Cytochrome Oxidase is a
1. Hemoprotein
2. Flavin mononucleotide
3. Flavin adenine dinucleotide
4. flavin adenine trinucleotide

Correct answer: 1. Hemoprotein

Explanation: Cytochrome oxidase is a hemoprotein widely distributed in many tissues, having the typical heme prosthetic group present in myoglobin, hemoglobin, and other cytochromes.Ref: Harper Biochemistry; 30th edition; Chapter 12; Biologic Oxidation